The most significant adverse effect of ACE inhibition is -
1. Hypotension
2. Hypertension
3. Hypocalcemia
4. Hypercalcemia rate

Correct answer: 1. Hypotension

Explanation: Ans. is 'a' i.e. Hypotension First dose hypotension is a significant adverse effect of ACE inhibitor